Most common strain of E.coli giving rise to traveller's diarrhea is ?
1. Entero-invasive E.coli (EICE)
2. Entero-pathogenic E.coli (EPEC)
3. Entero-toxigenic E.coli (ETEC)
4. Entero-aggregative E.coli (EAEC)

Correct answer: 3. Entero-toxigenic E.coli (ETEC)

Explanation: Ans. is 'c' i.e., Entero-toxigenic E.coli Entero-toxigenic E.coli is the most common cause of traveller's diarrhea. Other organisms causing travellers diarrhea are: Enteroaggregative E.coli - Vibrio cholerae Shigella - Rotavirus and Norwalk-like virus Salmonella - Entamoeba histolytica Compylobacter-jejuni - Giardia lamblia Aeromonas - Cryptosporidium Plesiomonas - Cyclospora